A 43-year-old man had a subarachnoid hemorrhage from an intracranial aneurysm 8 years ago. He has also had progressive renal impairment associated with hematuria. The most likely diagnosis isFor the above patient with a medical problem, select the most likely diagnosis or renal impairment.
1. polycystic kidney disease
2. medullary sponge kidney
3. medullary cystic disease
4. Liddle syndrome

Correct answer: 1. polycystic kidney disease

Explanation: The autosomal dominant form of polycystic kidney disease is often associated with hepatic cysts, intracranial aneurysms, and colonic diverticula. The occurrence of renal failure is usually in the third decade or later. Complications include infection, obstruction by stone or clot, and gross hematuria.